1st evidence of calcification of Upper 2nd premolar is seen in
1. at birth
2. 16 wk IU
3. 1 year after birth
4. 2 -2 ½ years after birth

Correct answer: 4. 2 -2 ½ years after birth